Causes for reduced bioavailability include:
1. High first pass metabolism
2. Increased absorption
3. IV drug administration
4. High lipid solubility

Correct answer: 1. High first pass metabolism

Explanation: Ans. (A) High first pass metabolism(Ref: KDT 8th/e p22)The causes of low bioavailability are:1. Reduced absorption2. High first pass metabolism